Not seet in first decade -
1. Retino blastoma
2. Rhabdomyosarcoma
3. Neuroblastoma
4. Ameloblastoma

Correct answer: 4. Ameloblastoma

Explanation: Ans. is 'd' i.e., Ameloblastoma Ameloblastoma is not a childhood tumor. o Other three are childhood malignacies.